Reactivation of TB affects
1. Anterior segment of upper Lobe
2. Apical and posterior segments of  upper Lobe
3. Posterior segments of  lower Lobe
4. Posterior and inferior segments of lower lobe

Correct answer: 2. Apical and posterior segments of  upper Lobe

Explanation: Reactivation of TB tends to involve apical and  posterior segments of  upper Lobe and Superior segments of lower lobe.